False about secondary immune response
1. Immune response against subsequent antigenic challenge
2. No Negative phase
3. Only T dependent antigens are processed
4. Lag period is absent or short

Correct answer: 2. No Negative phase

Explanation: There is a negative phase in secondary immune response.